If a patient with several hyperglycemia is given IV insulin, which of the following can occur?
1. Hypokalemia
2. Hyperkalemia
3. Hyponatremia
4. Hypernatremia

Correct answer: 1. Hypokalemia

Explanation: Answer is A (Hypokalemia): Insulin causes ICRT to enter cells with a resultant lowering of extracellular ICRT+ concentration (Hypokalemia) Relation of Insulin to Potassium (Ganong 22nd/338) Insulin causes ICRT to enter cells with a resultant lowering of the extracellular K+ concentration (Hypokalemia) Infusion of insulin and glucose significantly lower the plasma ICRT level in normal individual (Hypokalemia) Infusion of insulin and glucose is very effective for the temporary relief of hyperkalemia The reason for intracellular migration of ICRT is still uncertain. However increase the activity of Na+ - K+ ATPase in cell membranes so that more ICRT is pumped into cells.